Dicumarol interferes with-
1. Vitamin K
2. Antithrombin
3. Platelets
4. Plasminogen

Correct answer: 1. Vitamin K

Explanation: Ans. is 'a' i.e., Vitamin K o Dicumarol (an oral anticoagulant) acts by inhibiting Vitamin K dependent clotting factors.